Multiple Sclerosis is associated with all of the following, Except
1. Hydrocephalus
2. Optic Neuritis
3. Spasticity
4. Spinal cord involvement

Correct answer: 1. Hydrocephalus

Explanation: Answer is A (Hydrocephalus): Multiple sclerosis is not associated with Hydrocephalus. Optic Neuritis, Spasticity and Spinal cord involvement may all be seen with multiple sclerosis. Multiple Sclerosis Multiple Sclerosis is a chronic disease characterized by inflammation, demyelination, gliosis (scarring) and neuronal loss The course can be relapsing - remitting or progressive The clinical manifestations of M.S. are diverse and vary depending on the site and severity of demyelinating lesions within the CNS The onset of symptoms may be abrupt or insidious The lesions may be anywhere in the CNS including the spinal cord